Organs first to be injured in air blast:
1. Ear, lung
2. Kidney, spleen
3. Pancreas, duodenum
4. Liver, muscle

Correct answer: 1. Ear, lung

Explanation: Ans. Ear, lung